This drug can clear trip trypansomes from Blood and lymph nodes and is active in late CNS stage of African sleeping sickness. it is
1. Emetine
2. Melarsoprol
3. Nifurtimox
4. Suramin

Correct answer: 2. Melarsoprol

Explanation: Ref-Katzung 10/e p863 Treatment of trypansomes is African sleeping sickness Early haemolymphatic stage :Suramin Late CNS stage: melarsoprol South American disease (chagas disease):nifurtimox